All the following are features of tetanus, except
1. Vertebral fractures
2. Survivors recover completely in 4 weeks
3. Diagnosis is clinical and no microbiological tests are required
4. Loss of consciousness occurs in moderately advanced case

Correct answer: 4. Loss of consciousness occurs in moderately advanced case